All the following organs likely undergo coagulative necrosis except ?
1. Spleen
2. Heart
3. Kidney
4. Brain

Correct answer: 4. Brain

Explanation: Ans. is d i.e., Brain Coagulative necrosis This is most common type of necrosis. This type of necrosis is most frequently caused by sudden cessation of blood flow (ischemia) in organs such as heart (MI), Kidney (ATN), adrenal gland, and spleen. Note : Brain is the only exception, i.e.,. It is the only solid organ in which ischemia leads to liquifactive necrosis not coagulative necrosis.